During the surgical repair of femoral hernia.the structure most vulnerable to major injury lies
1. Anterioly
2. Posteriorly
3. Medially
4. Laterally

Correct answer: 4. Laterally

Explanation: The fermol vein lies lateral of the femoral conal.